Most important tool used in genetic engineering
1. Genes
2. Enzymes
3. Ribozymes
4. Peptidyl-transferase

Correct answer: 2. Enzymes

Explanation: Ans. is 'b' i.e., Enzymes Genetic engineering simply means manipulation of genetic material to achieve the desired goal in a predetermined way.Most important molecular tools in genetic engineering are enzymes used in recombinant DNA technology. (also called genetic engineering).Most important of these enzymes is restriction endonuclease.